A 5-day-old infant male has an abnormally large head. A CT scan examination reveals enlarged lateral and third ventricles but a normal-size fourth ventricle. Stenosis of the cerebral aqueduct (of Sylvius) is suspected. Which of the following conditions will be characteristic of these symptoms?
1. Nonobstructive hydrocephalus
2. Anencephaly
3. Obstructive hydrocephalus
4. Meroanencephaly

Correct answer: 3. Obstructive hydrocephalus

Explanation: Obstructive hydrocephalus, in this case resulting from obstruction of the cerebral aqueduct, refers to a condition in which flow of cerebrospinal fluid (CSF) is obstructed within the ventricular system. This leads to pressure increasing in the CSF above the obstruction, explaining the enlarged lateral and third ventricles. Nonobstructive hydrocephalus is due to either excessive CSF production or ineffective CSF reabsorption. This would lead to enlargement of all ventricular chambers. Anencephaly, also known as meroanencephaly, is a partial absence of the brain and is due to defective closure of the anterior neuropore. Holoprosencephaly is a failure of cleavage of the forebrain and would result in a single fused ventricle.